Mirabegron is a:
1. Beta 3 agonist
2. Beta 3 antagonist
3. Beta 1 agonist
4. Beta 1 antagonist

Correct answer: 1. Beta 3 agonist

Explanation: Mirabegron is a beta 3 agonist. It is indicated in overactive bladder because Beta 3 receptor stimulation relaxes the bladder. Beta 3 receptor are also present on adipose tissue and cause lipolysis. So, beta 3 agonist can be used as anti-obesity drugs but are not approved yet.